BRAF gene mutation is seen in
1. Breast carcinoma
2. Melanoma
3. Osteosarcoma
4. Prostate carcinoma

Correct answer: 2. Melanoma

Explanation: Somatic activating mutations in the proto-oncogenes BRAF or NRAS are observed in a high proportion of melanomas. These mutations, which promote cellular proliferation and survival by activating the extracellular signal-regulated protein kinase (ERK) pathway, generally are mutually exclusive, since BRAF functions downstream of RAS. (Robbins Basic Pathology, 9 th edition. page : 867)